A fundamental technique used in psychoanalysis is :
1. Concentration
2. Hyponsis
3. Empathy
4. Free association

Correct answer: 4. Free association

Explanation: D. i.e. Free association